All are major criteria for AIDS except -
1. 10% weight loss
2. Diarrhoea for 1 month
3. Cough for 1 month
4. Fever for 1 month

Correct answer: 3. Cough for 1 month

Explanation: Cough for one month is not a criteria for AIDS. Reference:Park's textbook of preventive and social medicine,K.Park,23rd edition,page no:348-49.